Rat bite fever is caused by
1. Streptobacillus moniliformis
2. Leptospira canicola
3. Borrelia recurrentis
4. Rickettesia prowazaki

Correct answer: 1. Streptobacillus moniliformis

Explanation: (A) Streptobacillus moniliformis # Rat Bite Fever (RBF) is characterised by relapsing fever, rash and arthralgia occurring days or weeks after a rat bite.> Two different bacteria can cause this condition-Streptobacillus moniliformis and Spirillum minus, both of which are natural parasites of rodents.